Which is not true about Tardive Dyskinesia (TD):
1. Clozapine is useful
2. Dopaminergic super sensitivity is the cause
3. Usually seen in perioral area
4. Combining anticholinergics with antipsychotics Prevents TD

Correct answer: 4. Combining anticholinergics with antipsychotics Prevents TD

Explanation: Ans. D. Combining anticholinergics with antipsychotics prevents TDTardive dyskinesia (abnormal movements): wide variety of movements:* Lip smacking or chewing* Tongue protrusion (fly catching)* Choreiform hand movements (pill rolling or piano playing)* Pelvic thrustingSevere orofacial movements can lead to difficulty speaking, eating or breathing.Worse under stressONSET: Months to years, 50% of cases are reversibleTREATMENT:Stop anticholinergic if prescribed* Reduce dose of antipsychotic* Change to an atypical drug* Clozapine is antipsychotic most likely to be associated with resolution of symptoms